Common causes of vertebra plana
1. TB
2. Eosinophilic granuloma
3. Metastasis
4. All of the above

Correct answer: 4. All of the above

Explanation: Ans. is 'd' i.e., All of the above Vertebra planao This term is used to describe uniform collapse of a vertebral body into a thin, flat disc. The most common cause is eosinophilic granuloma, with the thoracic vertebrae most frequently affected. Causes areHistocytosis - X (Eosinophilic granuloma)LeukemiaTBMetastasis, Multiple myeloma, Ewing ys sarcoma, lymphomaOsteochondritis of vertebral body (Calve's disease)HemangiomaTraumaSteroids